Benzathine Pencillin prophylaxis for rheumatic fever comes under -
1. Primary prevention
2. Primordial prevention
3. Secondary prevention
4. Tertiary prevention

Correct answer: 3. Secondary prevention

Explanation: Ans. is 'c' i.e., Secondary prevention